A physician is punishable for infecting a normal healthy person with HIV positive needle, this comes under
1. Sec 203 IPC
2. Sec 204 IPC
3. Sec 269 IPC
4. Sec 312 IPC

Correct answer: 3. Sec 269 IPC

Explanation: Refer the byte "Legal sections".